Most common cause of HIV infection in infant is –
1. Perinatal transmission
2. Breast milk
3. Transplacental
4. Umbilical cord sepsis

Correct answer: 1. Perinatal transmission